Light reflex absent but accommodation reflex present is seen in -
1. Hutchison's pupil
2. Argyl Robertson pupil
3. Adies pupil
4. Horner's syndrome

Correct answer: 2. Argyl Robertson pupil

Explanation: Ref khurana 6/e